In a study it is observed that the right ovary ovulates more than the left, all are possible explanation for the cause except
1. Anatomical difference between right and left side
2. Difference in blood supply to both sides
3. Right handedness is more common in population
4. Some embryological basis

Correct answer: 3. Right handedness is more common in population

Explanation: Ans. c. Right handedness is more common in population It is believed that right sided predominance was either genetically determined or due to differences in vasculature of the ovaries. The anatomical asymmetry between the left and right side are also thought to be the reason. Ovulation In the primate, it is suggested that ovulations occur with equal frequency in the left and right ovary. In the humans, there is some controversy about the frequency of ovulation on either side It is believed that in normally menstruating women, ovulation was significantly higher in right ovary. It is believed that right sided predominance was either genetically determined or due to differences in vasculature of the ovaries. The anatomical asymmetry between the left and right side are also thought to be the reason. The left ovarian vein drains to the left renal vein and the right ovarian vein to the IVC. The left renal vein is thought to be under pressure than the right and therefore drain slower. Because the left ovary drain slower, the collapsed follicle (corpus leuteum) takes longer to clean and thereby diminishes the chances that ovulation will occur on that side the following month. No such condition exists on the right side, that's why successive right side ovulation is more common